Young man whose voice has not broken is called:
1. Puberphonia
2. Androphonia
3. Plica ventricularis
4. Functional aphonia

Correct answer: 1. Puberphonia

Explanation: In males at the time of puberty, the voice normally drops by an octave and becomes low pitch. It occurs because vocal cords lengthen Failure of this change leads to persistence of childhood high pitched voice and is called as puberphonia It is seen in boys who are emotionally insecure and show excessive attachment to their mothers. Their physical and sexual development is normal Treatment Training the body to produce low pitched voice. Gutzmann pressure test: In this test, thyroid prominence is pressed backward and downward producing low tone voice. If this test is positive it indicates puberphonia.